Which of the following muscle becomes boundary of the cubital fossa?
1. Biceps
2. Triceps
3. Brachioradialis
4. Coracobrachialis

Correct answer: 3. Brachioradialis

Explanation: Boundaries of the cubital fossa:The superior boundary of the fossa is formed by an imaginary line connecting the medial and lateral epicondyles of the humerus.Laterally, the cubital fossa is bounded by the medial border of the brachioradialis.Medially, the fossa is bounded by the lateral margin of the pronator teres.The apex lies inferiorly and is formed by crossing of the brachioradialis across the front of the pronator teres.Floor of the fossa is formed by the lower end of the brachialis, above, and by the supinator muscle, below.